The target gene for SRY which favors testis differentiation is:
1. SOX-9 gene
2. RS po 1 gene
3. Dax 1 gene
4. WNT-4 gene

Correct answer: 1. SOX-9 gene

Explanation: Ans. is a, i.e. SOX-9 geneRef: Leon Speroff 8th/ed, p334The target gene for SRY which favours testis differentiation is SOX-9 geneThe genes which favour ovary differentiation are:WnT4Rspo1Dax 1